Calcium channel blockers are used in all except
1. Angina
2. Arrythymia
3. Congestive heart failure
4. Hypertension

Correct answer: 3. Congestive heart failure

Explanation: Calcium channel blockers prevent calciumfrom entering cells of the heart and blood vessel walls, resulting in lower blood pressure. Calcium channel blockers, also called calcium antagonists, relax and widen blood vessels by affecting the muscle cells in the arterial walls Refer kDT 6/e p 502,551